Most common vessels involved in cutaneous vasculitis
1. Arteries
2. Arterioles
3. Capillaries
4. Post-Capillary venules

Correct answer: 4. Post-Capillary venules

Explanation: Cutaneous Vasculitis also called hypersensitivity vasculitis involves Post-Capillary Venules.